The setting time of ZnPO4 cement can be retarded by
1. mixing more powder to the liquid
2. mixing powder to liquid, checked by water
3. slower addition of powder to liquid
4. faster addition of powder to liquid

Correct answer: 3. slower addition of powder to liquid